Enteo-enteric fistula is seen in:
1. Ulcerative colitis
2. Crohn's disease
3. Both of the above
4. None of the above

Correct answer: 2. Crohn's disease

Explanation: Ans. B: Crohn's diseaseWith progression of the Crohn's disease, adhesions and transmural fissuring, intra-abdominal abscesses and fistula tracts can developEntero-enteric fistulae can occur into adjacent small bowel loops or the pelvic colon